Pancreas is derived from
1. Foregut
2. Midgut
3. Hindgut
4. Notochord

Correct answer: 1. Foregut

Explanation: Pancreas is derived from foregut. Liver and pancreas are present at the junction of foregut and midgut. Oesophagus,stomach,liver,pancreas and duodenum are derived from endoderm of foregut.